Candidiasis is associated with all except
1. OCP user
2. IUCD user
3. Diabetes
4. Pregnancy

Correct answer: 2. IUCD user

Explanation: The predisposing factors for candidiasis are diabetes, immunodeficiency, malignancy, prolonged administration of antibiotics and patients on immunosuppressive drugs and intravenous catheters. OCP causes elevation of blood glucose levels by causing carbohydrate intolerance which in turn causes diabetes. IUCD causes PID mainly bacterial. Ref: Textbook of Microbiology, Ananthanarayan and Paniker; 9th edition